FHP is formed by joining
1. Porion and Orbitale
2. Nasion and sella
3. Porion and sella
4. Porion and Nasion

Correct answer: 1. Porion and Orbitale